Position of internal hemorrhoid in anus is especially common in -
1. 4 o' clock position
2. 11 o' clock position
3. 8 o' clock position
4. 9 o' clock position

Correct answer: 2. 11 o' clock position

Explanation: Ans. is 'b' i.e., 11 o' clock position Classification of hemorrhoids|||Internal hemorrhoidsExternal hemorrhoids* Located proximal to the dentate line* Covered by transitional and columnar epithelium therefore are usually painless* Internal haemorrhoids (Greek: haima, blood; rhoos, flowing; synonym: piles, Latin: pila, a ball) are symptomatic anal cushions and characteristically lie in the 3, 7 and 11 o'clock positions (with the patient in the lithotomy position)* located distal to dentate line* Covered by richly innervated squamous epithelium thus its thrombosis causes severe pain. For the same reason external hemorrhoid are not ligated